All of these are responsible for preferential shunting of well oxygenated blood from fetal right atrium to left heart, EXCEPT?
1. Upper interatrial septum
2. Crista dividens
3. Pattern of blood flow in IVC
4. Size difference of left and right atrium

Correct answer: 4. Size difference of left and right atrium

Explanation: More oxygenated blood travels along the medial aspect of IVC and less along lateral aspect, facilitating shunting to opposite sides of heart, that is, more oxygenated travels to left heart through foramen ovale and less oxygenated to right ventricle. This is also facilitated by configuration of interatrial septum called crista dividens. So all are correct except option d.